True about C.S.F. finding in pyogenic meningitis is -
1. Protein ↑ sugar ↓
2. Protein ↓ sugar ↑
3. Chloride ↑ protein↓
4. ↓ Protein ↓ chloride

Correct answer: 1. Protein ↑ sugar ↓